Which of the following is not true with regard to sequelae/complications after gastric operations?
1. Recurrent ulceration is rare after gastric surgery for peptic ulcer
2. Early satiety can occur even in the absence of gastric resection
3. Early dumping syndrome is due to a sudden high osmotic load to the small bowel
4. Late dumping syndrome is due to reactive hypoglycaemia.

Correct answer: 1. Recurrent ulceration is rare after gastric surgery for peptic ulcer

Explanation: The important sequelae after gastric surgery are recurrent ulceration, small stomach syndrome, bilious vomiting, early and late dumping syndrome, diarrhoea and malignant transformation. Sequelae of peptic ulcer surgery Recurrent ulceration Post vagotomy diarrhea Small stomach syndrome Malignant Transformation Bile vomiting Nutritional consequences Early and late dumping Early dumping Syndrome Late Dumping Syndrome Feel Bloated Sweating Dizziness Flushing Pain & Cramps Feelings of hunger Sweating Tiredness Confusion Feeling Faint .